What is the S.I. unit of effective dose?
1. Becquerel
2. Sievert
3. Gray
4. Roentgen

Correct answer: 2. Sievert

Explanation: The effective dose (E) is used to estimate the risk in humans. It is hard to compare the risk from a dental exposure with, for example, the risk from a radiographic chest examination because different tissues with different radiosensitivities are exposed. 
The unit of effective dose is the Sv.